MELD score includes
1. Alkaline phosphatase
2. Albumin
3. Transaminase
4. Serum creatinine

Correct answer: 4. Serum creatinine

Explanation: Model For End-Stage Liver Disease (MELD) for Ages 12 and Older * The Model for End Stage Liver Disease (MELD) predicts survival for patients with advanced liver disease. * The United Network for Organ Sharing (UNOS) made a policy change regarding a revision in the MELD scoring system on January 11, 2016 that is related to transplant listing. * The new MELD scores are calculated first by determining the traditional MELD score as an initial score (MELD(i)); * If the initial MELD(i) scores is 12 or greater, the score is adjusted by incorporating the serum sodium value. * Score: 6 in healthy person to 40 in severe ESLD * Score <15 should not undergo liver transplantation 3- Month Mortality based on MELD scores :-